White infarcts are seen in all the following organs except:
1. Lung
2. Heart
3. Spleen
4. Kidney

Correct answer: 1. Lung

Explanation: Ans. (a) Lung(Ref: Robbins 9th/pg 129; 8th/pg 128)A. Red infarct- Lung, Ovary, IntestineB. White infact - kidney, heart, spleen and brainLiver infarctions are rare because of liver's dual blood supply. Its infarction is described as dichotomic, i.e. it can show overlap between red to white infarct.